Commonest benign tumor of the esophagus
1. Papilloma
2. Leiomyoma
3. Adenoma
4. Hemangioma

Correct answer: 2. Leiomyoma

Explanation: BENIGN NEOPLASMS OF OESOPHAGUS Benign neoplasms are rare compared to malignant ones. Leiomyoma is the most common and accounts for two- thirds of all the benign neoplasms. It arises from the smooth muscle and grows in the wall of oesophagus. Dysphagia is produced when tumour exceeds the diameter of 5 cm. Barium swallow shows an ovoid filling defect. Endoscopy reveals a submucosal swelling. Biopsy should not be taken. Treatment is enucleation of the tumour by thoracotomy. Mucosal polyps, lipomas, fibromas and haemangiomas are other benign tumours. They are often pedunculated and present in the oesophageal lumen. Endoscopic removal is avoided because of the danger of oesophageal perforation. Treatment is surgical excision by oesophagotomy Ref : ENT textbook by Dhingra 6th edition Pgno : 345